A 35-year-old patient has a small but painful tumor under the nail of the little finger. Which of the following nerves would have to be anesthetized for a painless removal of the tumor?
1. Superficial radial
2. Common palmar digital of median
3. Common palmar digital of ulnar
4. Deep radial

Correct answer: 3. Common palmar digital of ulnar

Explanation: The common palmar digital branch comes off the superficial branch of the ulnar nerve and supplies the skin of the little finger and the medial side of the ring finger. The superficial branch of the radial nerve provides cutaneous innervation to the radial (lateral) dorsum of the hand and the radial two and a half digits over the proximal phalanx. The common palmar digital branch of the median nerve innervates most of the lateral aspect of the palmar hand and the dorsal aspect of the second and third finger as well as the lateral part of the fourth digit. The deep radial nerve supplies the extensor carpi radialis brevis and supinator muscles and continues as the posterior interosseous nerve. The recurrent branch of the median nerve supplies the abductor pollicis brevis, flexor pollicis brevis, and opponens pollicis muscles.